Maximum maternal mortality during peripartum period occurs at –
1. Last trimester
2. During labor
3. Immediate post–partum
4. Delayed post–partum

Correct answer: 3. Immediate post–partum

Explanation: Studies show that mortality risks for mother are particularly elevated in the first two days after birth, i.e. immediate post-partum period.
A women is most vulnerable at post-partum period. About 50-70% maternal death occurring in the post-partum period of which 45% deaths occur in first 24 hours after delivery and more than two-third during the first week.